Which of the following agent is not used for treatment of erectile dysfunction?
1. PGE1
2. Vardenafil
3. Phenylephrine
4. Alprostadil

Correct answer: 3. Phenylephrine

Explanation: for male impotence: Alprostadil(PG E1) injected into the penis causing an erection lasting for 1-2 hrs oral sildenafil/tadalafil can also be given papaverine, yohimbine can be used though rarely ESSENTIALS OF MEDICAL PHARMACOLOGY;7TH EDITION; KD TRIPATHI; PAGE NO 190